All of the following are false for Gall Bladder carcinoma except
1. Carries a good prognosis
2. Gallstones may be a predisposing factor
3. Commonly squamous cell carcinoma
4. Jaundice is rare

Correct answer: 2. Gallstones may be a predisposing factor

Explanation: Primary carcinoma of the gallbladder is an uncommon, aggressive malignancy that affects women more frequently than men. Older age groups are most often affected, and coexisting gallstones are present in the vast majority of cases. The symptoms at presentation are vague and are most often related to adjacent organ invasion. Imaging studies may reveal a mass replacing the normal gallbladder, diffuse or focal thickening of the gallbladder wall, or a polypoid mass within the gallbladder lumen. Adjacent organ invasion, most commonly involving the liver, is typically present at diagnosis, as is biliary obstruction. Periportal and peripancreatic lymphadenopathy, hematogenous metastases, and peritoneal metastases may also be seen. The vast majority of gallbladder carcinomas are adenocarcinomas. Because most patients present with advanced disease, the prognosis is poor. Ref : Bailey and love surgery text book 27th Ed.